In Erb-Duchene paralysis, the injury is limited to the
1. 2nd and 3rd cervical nerves
2. 3rd and 4th cervical nerves
3. 4th and 5th cervical nerves
4. 5th and 6th cervical nerves

Correct answer: 4. 5th and 6th cervical nerves

Explanation: ERB'S PARALYSIS:- upper plexus injury.Caused by a forceful widening of the angle between the head and shoulder which may occur by traction of the arm during the birth of a child or by fall on the shoulder.Involves upper trunk - C5, C6 roots. Leads to typical deformity in the limb- policeman's tip hand/ porter's tip hand. The arm hangs by the side, adducted and medially rotated, the forearm is extended and pronated. 1. Adduction of the arm due to deltoid paralysis.2. Medial rotation of arm-paralysis of supraspinatus, infraspinatus and teres minor.3. Extension of the elbow- paralysis of biceps brachii4. Pronation of forearm- paralysis of biceps brachi5. Loss of sensation over the outer aspect of arm due to C6 spinal nerve involvement.{Reference: vishram singh, page no. 62}